Long thyroid stimulating agent is
1. Antibody to thyroid globulin
2. Antibody to thyroid cell receptors
3. Antibody to thyroxine
4. Antibody to thyroid cells

Correct answer: 2. Antibody to thyroid cell receptors

Explanation: Answer is option 2, antibody to thyroid receptors. Thyrotropin receptor (TSHR) antibodies that stimulate the thyroid (TSAb) cause Graves' hyperthyroidism and TSHR antibodies which block thyrotropin action (TBAb) are occasionally responsible for hypothyroidism. Unusual patients switch from TSAb to TBAb (or vice versa) with concomitant thyroid function changes. We have examined case reports to obtain insight into the basis for "switching."